Which of the following is not a common manifestation of congenital Rubella -
1. Deafness
2. PDA
3. Aortic stenosis
4. Intellectual disability

Correct answer: 3. Aortic stenosis

Explanation: Ans. is 'c' i.e., Aortic Stenosis o Nerve deafness is the single most common clinical finding among infant with congenital Rubella syndrome. o PDA is the most common CHD in congenital rubella syndrome. o Classical triad of congenital rubella consists of -3 Cataract, Deafness, CHD o Intellectual disability is also common.